Charcot's triad is seen in
1. Cholangitis
2. Cholecystitis
3. Both
4. Pancreatitis

Correct answer: 1. Cholangitis

Explanation: Ans. (a) CholangitisRef: Sabiston 20th edition Page 1494* Cholangitis is characterized by Charcot's triad.* Pain, jaundice and fever with Rigors are seen